Tick borne hemorrhagic fever is seen in
1. Omsk hemorrhagic fever
2. Chandipura virus
3. Vesicular stomatitis virus
4. Yellow fever virus

Correct answer: 1. Omsk hemorrhagic fever

Explanation: Omsk hemorrhagic fever :

vector  - Tick
Manifestation - Hemorrhagic fever
Reservoir  -Small mammals